Which of the following acts as intermediate host of malaria a parasite?
1. Culex
2. Female anopheles
3. Human
4. Trombiculid mite

Correct answer: 3. Human

Explanation: Man is the definitive host in most parasitic infections except in: Echinococcus granulosus, Plasmodium, Taenia Solium(man is both definitive and intermediate host) Toxoplasma gondii, Sarcocystis lindemanii
In other parasitic infections man acts as definitive host, Two intermediate hosts are seen in Lung fluke (paragonimus) Chinese tapeworm (clonorchis) Fish tapeworm (diphyllobothrium latum) Metagonimus Westermann